c-AMP is a second messenger for all of the following, EXCEPT:
1. GH
2. ACTH
3. LH
4. Glucagon

Correct answer: 1. GH

Explanation: Hormones acting through c-AMP: ACTH ADH Calcitonin CRH FSH Glucagon Epinephrine hCG LH MSH PTH TSH Also know: Signal molecules and their second messengers: Signal molecule Second messenger Hormones (glucagon, epinephrine, ADH, glycogen, ACTH, PTH) c-AMP Nitric oxide, AMP cGMP Serotonin, TRH Calcium, IP3 Oxytocin, PDGF DAG Growth factors, cytokines PIP3 Insulin and insulin like growth factors K in receptor GH, prolactin, cytokines K in receptor Ref: Textbook of Biochemistry for Medical Students By D M Vasudevan, 2013, Page 653.